Which valve is least affected in Rheumatic fever ?
1. Pulmonary valve
2. Tricuspid valve
3. Mitral valve
4. Aortic valve

Correct answer: 1. Pulmonary valve